All of the following are causes of hypovolemic hyponatremia lead to urine sodium > 20 except?
1. Renal losses
2. Vomiting
3. Cerebral salt wasting syndrome
4. Mineralocorticoid deficiency

Correct answer: 2. Vomiting

Explanation: OPTION B - Vomiting It will induce dehydration and lead to renal conservation of salt and water . OPTION A - Renal Losses Tubular damage explains salt wasting and high urine sodium. OPTION C - Cerebral salt wasting syndrome Release of BNP will promote natriuresis and salt wasting . OPTION D - Mineralocorticoid deficiency Aldosterone deficiency will also cause salt wasting .